Which of the following reflexes is not present at birth –
1. Asymmetric Tonic Neck Reflex
2. Moro's Reflex
3. Symmetric tonic neck reflex
4. Crossed extensor reflex

Correct answer: 3. Symmetric tonic neck reflex

Explanation: Neonatal reflexes 

A number of primitive neonatal reflexes can be elicited in a healthy term neonate.
These disappear as the child grows → These reflexes are inhibited by frontal lobes as the child grows.
The absence of reflex responses indicates dysfunction of central or peripheral motor function.
Abnormal persistence of neonatal reflexes is pathognomonic of central motor lesions.

Reflexes are
A. Reflexes present at birth

 Rooting, sucking & swallowing reflexes
Moro reflex
Palmar grasp (grasp reflex) 
Crossed extensor
Asymmetric tonic neck reflex           

B. Reflexes appear after birth

Symmetric tonic neck  - appears at 4-6 months 
Parachute reflex - appears at 8-9 months 
Landau reflex - appears at 10 months